Degree of freedom of a chi square test in contingency table of 2 by 2 is?
1. 1
2. Zero
3. 2
4. 4

Correct answer: 1. 1

Explanation: - for a 2*2 contingency table( two columns and two rows), the degree of freedom is 1. - d.f = (c-1) ( r-1) = (2-1) (2-1) = 1 Reference : Park's textbook of preventive and social medicine, 23rd edition, pg no:852